In hyperkalemia with brady cardia treatment is-
1. Calcium gluconate
2. Salbutamol
3. Steroid
4. K+resin

Correct answer: 1. Calcium gluconate